Commonest salivary gland to get stones:-
1. Parotid
2. Submandibular
3. Minor salivary gland
4. Sublingual

Correct answer: 2. Submandibular

Explanation: Commonest salivary gland to get stones is submandibular gland. Sialolithiasis is less common in the parotid gland (20%) than in the submandibular gland (80%). Sialolithiasis is the accumulation of obstructive calcifications within the glandular ductal system, more common in the submandibular gland (90%) than in the parotid (10%). When the calculi become obstructive, stasis of saliva may cause infection and create a painful, acutely swollen gland. SIALOLITHIASIS Submandibular Salivary Gland Calculi are More Common than Parotid Because Wharton's duct has long, curved and upward course and is hooked by lingual nerve leading to inadequate drainageQ Secretion is more viscidQ than parotid gland secretion